Umbilicus is supplied by which spinal segment?
1. T4
2. T6
3. T8
4. T10

Correct answer: 4. T10

Explanation: Ans. d (T10). (Ref. BD Chaurasia, Anatomy -2nd vol., 3rd/165; Bailey & love Surgery, 25th/982) # Skin around umbilicus is supplied by T10 segment of cord. # With reference to lymphatics and venous drainage it is water shed area. Educational point: # Dermatomes over: - The xiphoid process-T7 - The umbilicus-T10 - The pubis-L1 # Remnant of vitello-intestinal duct may form a tumor of umbilicus known as raspberry /cherry red tumor.